A middle aged female presents with polyarthritis, elevated Rheumatoid factor and ANA levels. Which of the following features will help in differentiating Rheumatoid arthritis from SLE
1. Soft tissue swelling in PIP Joint
2. Juxta-articular osteoporosis on X ray
3. Articular erosions on X Ray
4. Elevated ESR

Correct answer: 3. Articular erosions on X Ray

Explanation: Answer is C i.e. (Articular erosions on X ray): SLE is associated with non-erosive arthritis. Presence of articular erosions on X Ray suggests a diagnosis of' Rheumatoid Arthritis `Erosions on joint X-Rays are rare in SLE; their presence suggests a non-lupus inflammatory arthropathy such as Rheumatoid Arthritis' - Harrison 17th/2077 `SLE may he confused with other connective tissue disease, especially Rheumatoid Arthritis. SLE patients may have positive Rheumatoid Factor. The usual presentation of lupus arthritis is identical to that of Rheumatoid Arthritis, but SLE arthritis is rarely erosive.' - Current Rheumatology 2nd/208